Commonest cause of pulmonary embolism is -
1. Thrombosis of leg veins
2. Thrombosis of prostatic veins
3. IVC thrombosis
4. Thrombosis of internal pudendal artery

Correct answer: 1. Thrombosis of leg veins

Explanation: Ans. is 'a' i.e., Thrombosis of leg veins Thrombi in deep vein of the leg accounts for more than 95% of cases of pulmonary embolism. The most common source of emboli are DVT of femoro-popliteal and iliac veins. But remember that : - Most common site of DVT is calf veins (Calf veins thrombosis are itself associated with a low risk for embolism, but when the thrombosis progresses proximally to involve the larger veins above knee, then the risk becomes very high.